X-rays are produced in:
1. Anode
2. Cathode
3. Glass wall
4. Molybdenum focusing cup

Correct answer: 1. Anode